Most common presentation of nasopharyngeal carcinoma is?
1. Neck mass
2. Trotter's triad
3. Ophtalmoplegia
4. Glue ear

Correct answer: 1. Neck mass

Explanation: Ans. is'a'i.e., Neck mass(Ref: Dhingra Sn/e p. 265)Neck mass is the most common presentation (60-90%) due to cervical lymphadenopathy.